In a 2 months old infant undergoing surgery for biliary atresia, you would avoid one of the following anaesthetic
1. Thiopentone
2. Halothane
3. Propofol.
4. Sevoflurane

Correct answer: 2. Halothane

Explanation: B i.e. Halothane Among all these options only halothane is hepatotoxic so it should be avoided Lets revise some important facts. All coagulation factors with exception of factor VIII (8) & von wille brand factor are produced by liverQ Vit K is necessary for synthesis of prothrombin (factor II) and factor VII, IX and XQ. PT is normally 11-14 seconds, mesures the activity of fibrinogen, prothrombin and factors, V, VII, and XQ All opioids cause spasm of sphincter of oddi & increase biliary pressure Halothane hepatitis is more common in middle age, obese, female sex, and a repeated exposure (esp with in 28 days)